Leukotriene receptor antagonist used for bronchial asthma is:
1. Zafirlukast
2. Zileuton
3. Cromolyn sodium
4. Aminophylline

Correct answer: 1. Zafirlukast

Explanation: Ans. (A) Zafirlukast(Ref: KDT 8th/e p248)Montelukast, zafirlukast and idalukast are Cys-LT1 receptor antagonists.Zileuton inhibits the production of leukotrienes by inhibiting the enzyme 5-lipoxygenase.